All of the follow ing are immediate priorities in WHOs Vision 2020 'the right to sight' except -
1. Oncocerciasis
2. Epidemic conjunctivitis
3. Trachoma
4. Cataract

Correct answer: 2. Epidemic conjunctivitis

Explanation: Ans. is 'b' i.e., Epidemic conjunctivitisVision 2020 : The Right to Sight : Global Initiative for Elimination of Avoidable Blindnesso After the realization that unless blindness control efforts are intensified, the prevalence of blindness will double by 2020 AD, the WHO along with an International Partnership committeee launched the Vision 2020 Initiative in 1995.o The diseases identified for global elimination include : -Cataract blindnessTrachoma blindness and transmissionOnchorerciasisAvoidable causes of childhood blindnessRefractive errors and low visiono Targets have been set up for each of the component diseases for the next 20 years,o Above 5 diseases were for global vision 2020. Indian vision 2020 includes following seven diseases.i Cataract blindnessii Trachoma blindness and transmissioniii Childhood blindnessiv Refractive errors and low visionv. Glaucomavi Diabetic retinopathyviiCorneal blindness